Not a branch of external carotid artery:
1. Inferior thyroid artery
2. Facial artery
3. Superior thyroid artery
4. Maxillary artery

Correct answer: 1. Inferior thyroid artery

Explanation: Inferior thyroid artery